By what age can a child tell his/her own gender?
1. 1.5-2 years
2. 2.5 - 3 years
3. 3.5 - 4 years
4. 4.5 - 5 years

Correct answer: 2. 2.5 - 3 years

Explanation: Ans. (b) 2.5-3 yearsRef: OP Ghai 8th ed./52 Table 3.3By the age of three years a child can tell his/her age and gender. They can recall experiences for example - a child ate my lunch in the play schoolPrevious year questions on the topic Developmental mile- stones in children* Child can draw a circle by the age of =3 years* Autism diagnosis in children can be made by age of=3yrs* ADHD diagnosis in children by the age of = 6 years* Nocturnal enuresis cut off age= 6 years